Which of these substances need proteins to transport across cell membrane
1. CO2
2. Steroid harmones
3. Vitamin E
4. Glucose

Correct answer: 4. Glucose

Explanation: Lipid soluble substances can easily cross membrane. Whereas water soluble substane like glucose needs transporter protein to cross cell memrane.